VIII cranial nerve affects:
1. Taste
2. Equilibrium
3. Touch
4. Smell

Correct answer: 2. Equilibrium

Explanation: Ans is 'b' i.e. Equilibrium VIII cranial nerve or the vestibulocochlear nerve consists of two parts; a cochlear part concerned with hearing, and a vestibular part concerned with equilibrium.